Short-acting anticholinesterase is:
1. Physostigmine.
2. Neostigmine.
3. Edrophonium.
4. Rivastigmine.

Correct answer: 3. Edrophonium.

Explanation: Edrophonium is the short-acting anticholinesterases and is useful in the diagnosis of myasthenia gravis.